Antithrombin is protein produced by
1. Liver
2. Spleen
3. Kidney
4. Lung

Correct answer: 1. Liver

Explanation: (Liver): (459- 992 H 18th edition)ANTI THROMBIN (or anti thrombin III) is the major plasma protease inhibitor of thrombin and the other clotting factors in coagulation. Synthesized in the liver and circulating in plasma at a concentration of 2.6 + 0.4mm antithrombin acts as suicide substrate for its target enzymes.